Pus formation in lacerated wound occurs in:
1. 12-24 hours
2. 24-48 hours
3. 48-72 hours
4. 1 week

Correct answer: 2. 24-48 hours

Explanation: Normally, pus formation occurs in about 48 hours, but in a lacerated wound it occurs slightly earlier.